An 17-year-old patient presents to you for evaluation because she has not yet started her period. On physical examination, she is 5ft 8 in tall. She has no breast development and no axillary or pubic hair. On pelvic examination, she has a normally developed vagina. A cervix is visible. The uterus is palpable, as are normal ovaries. physician decides to test her sense of smell . what is the physician suspecting ?
1. Asherman's syndrome
2. Kallman's syndrome
3. Stein-Leventhal syndrome
4. Sheehan's syndrome

Correct answer: 2. Kallman's syndrome

Explanation: Diagnosis is Kallman's syndrome 46 XX Hypogonadotropic hypogonadism Low LH & FSH as no GnRH Anosmia Amenorrhoea Either normal or taller Ovaries normal but dont get stimulated in the absence of gonadotropins Uterus present and thelarche absent External genitalia female like Pubic hair Present